Bacteria most commonly involved in prosthetic valvular heart disease within 2 months of surgery is:
1. Staphylococcus epidermidis
2. Enterococci
3. Streptococcus viridans
4. Hemophilus

Correct answer: 1. Staphylococcus epidermidis

Explanation: Ans. A: Staphylococcus epidermidis Staphylococci account for 20 to 30% of all cases of endocarditis in the elderly. The predominant species, Staphylococcus aureus, often causes nosocomial endocarditis. S. epidermidis is isolated in < 5% of patients with native valve endocarditis, but it is the most common cause of cases that involve prosthetic valves occurring early after surgery in elderly and in younger patients. Gram-negative aerobic bacilli and fungi cause 2 to 3% of all cases of endocarditis. Infections due to Bacteroides species and mixed infections are rare among the elderly.